Diagnosis of beta Thalassemia is established by
1. NESTROFT Test
2. Hb A1c estimation
3. Hb electrophoresis
4. Target cells in peripheral smear

Correct answer: 3. Hb electrophoresis

Explanation: Diagnostic test for thalassemia is Hb electrophoresis. NESTROFT Test - Naked Eye Single Tube Red Cell Osmotic Fragility Test - used for screening for Thalassemia HbA1c - Used to assess long term glycemic control in diabetics (blood sugar control over past 3 months) Target cells - A feature of thalassemia, but not diagnostic Reference : Ghai essential of pediatrics, eighth edition, p.no:342